What is true about interferon?
1. Are specific for individual viruses
2. Are protective against only viruses
3. Induce enzyme synthesis in the target cell
4. Are divided into 5 subtypes

Correct answer: 3. Induce enzyme synthesis in the target cell

Explanation: Ans is 'c' i.e. Induce enzyme synthesis in the target cell o Interferons (IFNs) are a group of signaling proteins, made and released by host cells in response to the presence of several pathogens, such as viruses, bacteria, parasites, and also tumor cellso IFNs belong to the large class of proteins known as cytokines.o IFNs also have various other functions: they activate immune cells, such as natural killer cells and macrophages; they increase host defenses by up-regulating antigen presentation by virtue of increasing the expression of major histocompatibility complex (MHC) antigens.o They are typically divided among three classes: Type IIFN, Type IIIFN, and Type III IFN.o In response to interferon, cells produce large amounts of an enzyme known as protein kinase R (PKR). This enzyme phosphorylates a protein known as eIF-2 in response to new viral infections. The phosphorylated eif-2 forms an inactive complex with another protein, called eif2b, to reduce protein synthesis within the cell.